Which one of the following substances, actively transported by the tubular cells, has the highest Tubular Transport Maximum?
1. Plasma protein
2. Haemoglobin
3. Glucose
4. Sodium

Correct answer: 3. Glucose

Explanation: Glucose has highest Tubular Transport MaximumRef: Ganong's review of medical physiology; 24th edition; page no: 682